Medicolegal importance of rigor mortis is in estimation of -
1. Time of death
2. Manner of death
3. Cause of death
4. All the above

Correct answer: 1. Time of death

Explanation: Rigor mortis can determine the time since death, but not the manner and cause of death.